A 45-year-old man, whose mother, father, brother, and uncle all had a history of heart disease, asks his physician about ways to reduce his risk of developing coronary artery disease. The patient is 171 cm (5 ft 6 in) tall, weighs 91 kg, and has a blood pressure of 125/80 mm Hg. His blood glucose concentration is 181 mg/dL. Which of the following is the best dietary advice to give this patient?
1. Avoid adding salt to food
2. Drink more water
3. Increase dietary fiber
4. Reduce intake of saturated fat

Correct answer: 4. Reduce intake of saturated fat

Explanation: These findings suggest a diagnosis of diabetes mellitus. The patient is obese and most likely has type 2 diabetes mellitus. Type 1 and type 2 diabetes mellitus greatly increase the risk of early and accelerated atherosclerosis. Decreasing total caloric intake, particularly saturated fat, helps reduce the risk of coronary artery disease. Vegetable and fish oils are preferable to animal fat as sources of dietary lipid for the prevention of atherosclerosis. Reducing dietary sodium helps to decrease blood pressure. Increased fluid intake aids renal function. Dietary fiber helps to reduce the incidence of diverticulosis. Vitamin A has no significant effect on atherogenesis.